Which one of the following types of stomach cancers carries the best prognosis
1. Superficial spreading type
2. Ulcerative type
3. Linitis plastic atype
4. Polypoidal type

Correct answer: 1. Superficial spreading type

Explanation: In early gastric carcinoma which has undergone good surgical resection and lymphadenectomy. has 5 yr survival rate and 95% overall cure rate. Reference SRB edition:5 page:847